'Pencil tip' deformity is seen in :
1. Carcinoma esophagus
2. Achalasia Cardia
3. Barrett's oesophagus
4. None of the above

Correct answer: 2. Achalasia Cardia

Explanation: Ans. is 'b' i.e. Achalasia Cardia